Which among the following is the most common type of finger impression?
1. Arch
2. Whorl
3. Loop
4. Composite

Correct answer: 3. Loop

Explanation: Types of fingerprints: Loops (about 67%) Radial Ulnar Whorls (about 25%) Concentric Spiral Double spiral Almond-shaped Arches (about 6-7%) Plain Tented Exceptional Composite form (about one to two percent) Central pocket loops Lateral pocket loops Twinned loops Accidentals Ref: The Essentials of Forensic Medicine and Toxicology by Narayan Reddy, 27th edition, Page 76.